Adder head is seen in-
1. Rectocele
2. Ureterocele
3. Posterior urethral valve
4. Bladder tumour

Correct answer: 2. Ureterocele

Explanation: Ans. is 'b' i.e., ureterocele Cobra head sign (Adder head or Snake appearance)o The cobra head sign is characterized by bulbous dilatation of distal end of the ureter with a surrounding radiolucent halo, seen within the contrast material enhanced bladder on intravenous urograms (IVP),o The cobra head sign is classically seen with an intravesical (orthotopic) ureteroceleo A cobra - shaped distal end of a ureter may be seen with incomplete distal ureteral obstruction caused by a tumor or stone. This appearance is termed as pseudoureterocele.